Hide and die syndrome is seen in ?
1. Hypothermia
2. Hyperthermia
3. Lightening injuries
4. Electrocution

Correct answer: 1. Hypothermia

Explanation: Ans. is 'a' i.e., Hypothermia Paradoxical undressing and hide and die syndrome are the symptoms which are apparent in the terminal stages of hypothermia. A) Paradoxical undressing This typically occurs during moderate to severe hypothermia, as the person becomes disoriented, confused, and combative. They may begin discarding their clothing, which, in turn, increases the rate of heat loss. B) Terminal burrowing/ Hide and Die syndrome An apparent self-protective behaviour known as terminal burrowing, or hide-and-die syndrome, occurs in the final stages of hypothermia. The afflicted will enter small, enclosed spaces, such as underneath beds or behind wardrobes. It is often associated with paradoxical undressing.